Post mortem staining gets fixed after -
1. 2-3 hrs.
2. 3-4 hrs.
3. 5-6 hrs.
4. 6-7 hrs.

Correct answer: 4. 6-7 hrs.

Explanation: Postmortem staining get fixed in 6-12 hours.